Which radiographic technique gives three-dimensional view of the alveolar bony defects?
1. Intra-oral radiograph
2. Digital intra-oral radiography
3. Orthopantamograph
4. Spiral computed tomography

Correct answer: 4. Spiral computed tomography